Equilibrium potential for an ion is calculated using:
1. Gibbs-Donnan equation
2. Nerst equation
3. Goldman equation
4. None

Correct answer: 2. Nerst equation

Explanation: B i.e. Nernst equation Equilibrium potential (i.e., membrane potential at which equilibrium b/w concentration & electrical gradient exist) for any (one) univalent ion is calculated by Nernst equationQ and for several different ions by Goldmann- Hodgkin-katz equation.